A stem cell disorder affecting all the three cell lines platelets, RBCs and leucocytes is :
1. Hemolytic anaemia
2. Paroxysmal cold haemoglobinuria
3. Paroxysmal nocturnal haemoglobinuna
4. Blackfan Diamond syndrome

Correct answer: 3. Paroxysmal nocturnal haemoglobinuna

Explanation: Answer is C (Paroxysmal Nocturnal haemoglobinuria) Paroxysmal nocturnal haemoglobinuria (PNH) results from an acquired somatic mutation on the pleuripotent stem cells. Hence all its clonal progeny i.e. red cells, white cells and platelets are affected - Paroxysmal nocturnal haemoglobinuria: is an acquired clonal disease that is associated with abnormality of complement regulation. This defect affects the Pluripotent stem cells & the clonal progeny of these stem cells. Red cells, white cells & platelets thus all are affected. Paroxysmal cold haemoglobinuria, Black fan Diamond syndrome (pure red cell aplasia) and hemolytic anemias characteristically involve the red cell lineage only.